A 55 year old female comes to the eye casualty with history of severe eye pain, redness and diminution of vision. On examination the visual acuity is 6/60, there is circumcorneal congestion, corneal oedema and a shallow anterior chamber, Which of the following is the best drug of choice-
1. Atropine ointment
2. I.V. Mannitol
3. Ciprofloxacin eye drops
4. Betamethasone eye drops.

Correct answer: 2. I.V. Mannitol

Explanation: B i.e. IV Mannitol Immediate treatment of acute congestive glaucoma consists of Acetazolamide (IV)- 1St drug usedQ Followed by oral Glycerine/IV Mannitol if the lOP is very high/ unresponsive Topical therapy - Pilocarpine Q 2% two drops to both eyes- Drug of choice - Dexamethasone (or equivalent) - beta blocker eg. Timolol Analgesia & Antiemetics Patient to lie supine for 1 hour